All of the following form visceral relations of spleen EXCEPT:
1. Stomach
2. Splenic flexure of colon
3. Kidney
4. Adrenal gland

Correct answer: 4. Adrenal gland

Explanation: Visceral surface of spleen has gastric, renal and colic impressions but not adrenal.